Which among the following is not an androgen receptor blocker?
1. Finasteride
2. Cyproterone
3. Flutamide
4. None

Correct answer: 1. Finasteride

Explanation: Finasteride is a 5alpha-reductase inhibitor used for BPH, Prostate cancer Flutamide and Cyproterone acetate are AR antagonists. Finasteride is used to shrink an enlarged prostate (benign prostatic hyperplasia or BPH) in adult men. It may be used alone or taken in combination with other medications to reduce symptoms of BPH and may also reduce the need for surgery. (Ref.Essentials of medical pharmacology TD Tripathi 7th edition page no.302)